In which type of glaucoma the coloured haloes are NOT seen:
1. Phacomorphic glaucoma
2. Pigmentary glaucoma
3. Glaucoma of epidemic dropsy
4. Steroid induced glaucoma

Correct answer: 4. Steroid induced glaucoma

Explanation: D i.e. Steroid induced glaucoma Steroid induced glaucoma characteristically presents as chronic open angle glaucoma, with an open angle normal appearing anterior chamber and absence of symptoms (eg. halos, pain)Q. Halos are due to accumulation of fluid in the corneal epithelium and to alterations in the refractive condition of corneal lamellae. The colours are distributed as in normal spectrum, red on the outside, blue the innermost. Corticosteroid induced glaucoma generally occurs in white, painless eyes with an open normal looking angle, optic disc cupping, visual field defects, elevated IOP, & decreased outflow facility. Patients are usually asymptomatic but an acute presentation can occur if IOP is very high, when corneal oedema, blurred vision, ciliary hyperaemia, coloured halos and pain may occur. (but rare) Pigmentary glaucoma is a secondary open angle glaucoma due to pigment release is young male myopes who present with intermittent halos, an open angle, Krukenberg spindle of pigment (on corneal endothelium on slit lamp microscopy) and sampaolesi line on genioscopy (increased pigmentation in trabecular meshwork). Epidemic dropsy glaucoma (Bengal glaucoma) presents with diarrhoea, edema of legs, myocarditis. Coloured halos are marked & persistent. In Phakomorphic glaucoma the lens becomes intuinescentQ, either by rapid development of cataract or after traumatic rupture of its capsule. The swollen lens obliterates the angle by forcing root of iris against cornea. Phacolytic glaucoma is secondary open angle glaucoma that develops if the lens has been damaged or if lens proteins from a hypermature senile cataract escapes into aqueous. Phacotopic glaucoma develops in anterior subluxation or dislocations of lens especially if the iris becomes firmly contracted over the posterior surface of lens.